The following host tissue responses can be seen in acute inflammation, except?
1. Exudation
2. Granuloma formation
3. Vasodilation
4. Margination

Correct answer: 2. Granuloma formation

Explanation: Granuloma formation occurs in chronic inflammation.